Woman firmly and persistently feels her husband is cheating on her and she disapproves to accePt any proof given in the husbands support' The other family members do not suppoherbelief. This is anexample of-
1. Illusion
2. Delusion
3. Hallucination
4. Perversion

Correct answer: 2. Delusion

Explanation: Ans. B. DelusionIn the question given the woman has a false unshakable belief that her husband is cheating on her and she disapproves all her relatives and proofs in support of her husband.Thus this is an example of delusion.